Bronchial adenoma commonly present as -
1. Recurrent hemoptysis
2. Cough
3. Dysponea
4. Chest pain

Correct answer: 1. Recurrent hemoptysis

Explanation: Ans. is 'a' i.e., Recurrent haemoptysis Bronchial adenomas Broncheal adenomas are hypervascular, and can bleed profusely, Recurrent haemoptysis is the most common manifestation. Others being, chronic cough, obstruction with atelectasis, lobar collapse, pneumonitis and abscess formation. Bronchial adenomas include : Carcinoids : 80-90% o Adenocystic tumors (cylindromas) : 10 to 15% o Mucoepidermoid tumors : 2-3%